Gestrinone has followings actions except
1. Androgenic
2. Anti - oestrogenic
3. Anti -androgenic
4. Anti - progestogenic

Correct answer: 3. Anti -androgenic

Explanation: Gestrinone is androgenic, derivative of testosterone.